With which of the following receptors theophylline has an antagonist interaction?
1. Histamine receptor
2. Bradykinin receptor
3. Adenoside receptor
4. Inidazoline receptor

Correct answer: 3. Adenoside receptor

Explanation: theophylline is an eg of methylxanthine the action of this identified as a) release of ca from sarcoplasmic reticulum b) inhibition of phosphodiesterase c)blockade of adenosine receptor ESSENTIALS OF MEDICAL PHARMACOLOGY SEVENTH EDITION KD TRIPATHI PG NO.226